All of the following statements are true regarding lipoproteins, EXCEPT:
1. VLDL transports endogenous lipids
2. LDL transports lipids to the tissues
3. Increased blood cholesterol is associated with increased LDL receptors
4. Increased HDL is associated with decreased risk of coronary disease

Correct answer: 3. Increased blood cholesterol is associated with increased LDL receptors

Explanation: LDL receptor are present in all cells most abundant in hepatic cells and adrenal cortex. When apo B100 in LDL bind to LDL receptor, receptor-LDL complex is internalized by endocytosis. A deficiency of functional LDL receptors causes a significant elevation in plasma LDL and therefore increase in plama cholesterol. Thus increased blood cholesterol will be associated with a decrease in LDL receptors and not with an increase in the receptors. Ref: Textbook of Biochemistry By DM Vasudevan, 3rd Edition, Pages 138-40 ; Lippincott Biochemistry, 2nd Edition, Page 215